During replication of DNA, which one of the following  enzymes polymerizes the Okazaki fragments?
1. DNA Polymerase I
2. DNA Polymerase II
3. DNA Polymerase III
4. RNA Polymerase

Correct answer: 3. DNA Polymerase III

Explanation: On 5’----> 3’ Strand (Lagging Strand/Discontinuous Strand/Retrograde Strand).
Synthesized in discontinuous manner.
Small fragments of DNA are in short spurts of 100–250 nucleotide (1000–2000 bp in prokaryotes) called Okazaki fragment synthesized in 5’ --- 3’ direction.

By  DNA Polymerase III in prokaryotes.
By DNA Polymerase δ  in eukaryotes.